All are true about Kerley B line except:
1. Horizontal
2. Runs from hilar area to peripheral area
3. Due to thickening of septa
4. Due to pulmonary venous hypertension

Correct answer: 2. Runs from hilar area to peripheral area

Explanation: B i.e. Runs from hilar area to peripheral area Kerley A lines radiate from hilum not kerley B lines which are best seen in costophrenic anglesQ. Kerley lines Kerley B lines Horizontal (transverse)Q, non branching 1-2 mm thick, 1-3 cm long lines at lung base (best seen at costophrenic anglesQ) & are perpendicular to pleural surface(2 Seen at PCWP = 17-20 mmHgQ Due to thickening of interlobular septaQ caused by: Pulomonary venous hypertensionQ (MS, LVF) Lymphatic obstruction (pneumoconiosis, Lymphangitis carcinomatosis, sarcoidosis) Interstial pneumonitis Kerley A lines 1-2 mm thick, 2-6 cm long non branching lines radiating from the hilumQ D/ t thickened deep interlobular septa Kerley C lines Fine interlacing lines throughout the lung producing spider web appearance